Retarder present in the composition of alginate is:
1. Calcium sulphate
2. Sodium phosphate
3. Potassium sulphate
4. Calcium phosphate

Correct answer: 2. Sodium phosphate

Explanation: Powder Composition for an Alginate Impression Material: